Most common extra-cranial complication of ASOM is:
1. Facial nerve paralysis
2. Lateral sinus thrombosis
3. Subperiosteal abscess
4. Brain abscess

Correct answer: 3. Subperiosteal abscess

Explanation: Ans. C Subperiosteal abscessAs discussed earlier therelative incidence of various extracranial complications in a case of chronic, otitis media are:Extracranial complicationPercentagePost auricular abscess:Fpcial palsyBezold abscessPetrous apicitis (Petrositis)Meningitis 75620.212 So M/C complication is post auricular abscessNow what is post auricular abscessThere are many abscesses in relation to mastoid -Post aural subperiosteal abscessZygomatic abscessBezold abscessIt is the commonest abscess thatforms over the mastoidPinna is displaced forward, out wardand downward In infants and chiidrenabscess forms overMcEwan's trianglePosterior root of zygoma is invovedSwelling lies in front of and above thepinnaAssociated oedema of upper eye lidPus lies superficial or deep totemporalis muscle. Passes throughthe tip of mastoid intosterno cleido mastoid muscle in theupper part of neck.? Citelli abscessLucs abscess (Meatal abscess) Pus passes through inner-table ofmastoid process into the dfgastrictriangle? ln-thiscase, pus breaks throughthebony wall between the antrum andexternal osseus meatus. Swelling is.seen in deep part of rneatus.? lateral sinus thrombosis So As is clear from above explanation - M/C. Extra cranial complication is - Post Aural sub periosteal abscess: If this optionis not given then the next best option would be Mastoiditis.